Higoumenaki sign is suggestive of :
1. Psoriasis.
2. Congenital syphilis.
3. Tetany.
4. Cholecystitis.

Correct answer: 2. Congenital syphilis.